In a child with itchy lesions over the groin and prepuce. Which of the following should not be advised?
1. Bathe and apply scabicidal
2. Treat family
3. Boil the clothes
4. IV antibiotics

Correct answer: 4. IV antibiotics

Explanation: Child suffering from scabies : use scabicidal. Anti-scabetic agent applied to entire body sparing scalp and face. Preferably applied after a good scrub bath with soap and water. All the clothes worn should be washed, dried in hot sun & ironed. All the members if personal household and other intimates should be treated even if they do not have obvious symptoms or signs. Systemic antibiotics seldom required for mild secondary pyoderma seen in early stages of scabies. For severe pyoderma especially in debilitated patients a systemic antibiotic may be given.